Ivabradine is used for management of -
1. Stable angina
2. Pre renal azotemia
3. Alzheimers disease
4. Anti smoking agent

Correct answer: 1. Stable angina

Explanation: Ans. is 'a' i.e., Stable angina Ivabradine* It is an investigational inhibitor of sino-atrial node.* It is a relatively selective If (funny current) Sodium channel blocker of early part of slow diastolic depolarization (phase 4) that reduces heart rate by inhibiting the hyperpolarization-activated sodium channel in SA node.* Heart rate is a major determinant of angina in coronary disease.* Therefore, lowering the heart rate is an important therapeutic approach in the treatment of stable angina.* It lowers heart rate with an efficacy similar to calcium channel blockers and beta blockers but does not have any effect on gastrointestinal and bronchial smooth muscles.* It is well absorbed orally, 40% bioavailability due to first pass metabolism.* It is excreted in urine with t Vi of 2 hours.